B/L symmetrical Basal Ganglia Calcification is seen with?
1. Wilsons Disease
2. FAHRS disease
3. CMV
4. Toxoplasmosis

Correct answer: 2. FAHRS disease

Explanation: Bilateral symmetrical basal ganglia calcifications are seen associated with FAHR disease FAHR syndrome, also known as bilateral striato-pallido-dentate calcinosis, is characterized by abnormal vascular calcium deposition, particularly in the basal ganglia, cerebellar dentate nuclei, and white matter, with subsequent atrophy.